Rhabdomyolosis is seen in all except-
1. Hyperphosphatemia
2. Prolonged seizure activity
3. Severe Hypothyroidism
4. Myopathy

Correct answer: 1. Hyperphosphatemia

Explanation: Causes of Rhabdomyolysis - Traumatic crush injury Coma or immobilisation Prolonged seizure activity Hypophosphatemia severe hypothyroidism Severe ischemia Myopathy Malignant hyperthermia Heat stroke Infections Excessive exercise Ref:Harrison 20th edition pg no 2103